Not a radiosensitizing agent
1. Metronidazole
2. Actinomycin-D
3. Hyperbaric Oxygen
4. Chlorhexidine

Correct answer: 4. Chlorhexidine

Explanation: Chlorhexidine is Radioprotector.